Sentinel lymph node biopsy in carcinoma breast is done if
1. LN palpable
2. Breast mass but no lymph node palpable
3. Breast lump with palpable axillary node
4. Metastic CA breast

Correct answer: 2. Breast mass but no lymph node palpable

Explanation: Sentinel lymph node is the first axillary lymph node draining the breast. SLNB is done in all cases of early breast cancers ,T1 and T2 without clinically palpable nodes. It is not done in clinically palpable axillary nodes as tgere is already distortion of lymphatic flow due to tumour. SRB's Manual of Surgery.Edition -5. Pg no:543